Most common cause of Esophageal perforation
1. Mallory Weiss syndrome
2. Borehave syndrome
3. Iatrogenic
4. Esophageal varices

Correct answer: 3. Iatrogenic

Explanation: - Most common cause of esophageal perforation is Iatrogenic . - Most common esophageal lacerations are Mallory- Weiss tears, which are often induced by severe retching or vomiting